Acetyl CoA carboxylase is activated by
1. Malonyl CoA
2. Citrate
3. Palmitoyl CoA
4. Acetoacetate

Correct answer: 2. Citrate

Explanation: Citrate

Acetyl-CoA carboxylase is an allosteric enzyme, it is activated by citrate and inhibited by long-chain acyl-CoA (palmitoyl CoA).